Headaches typically affecting young to middle aged men, unilateral, oculo temporal, excruciating and associated with lacrimation, rhinorrhoea is called
1. Migraine
2. Trigeminal neuralgia
3. Cluster headache
4. Tension headache

Correct answer: 3. Cluster headache

Explanation: Cluster headache Unilateral, periorbital, frontal or temporal headache with ipsilateral epiphora, rhinorrhoea, sweating,nasal stuffiness and ptosis. Lasts minutes to hours, recurs once or twice daily for several weeks followed by symptom-free intervals of months to years. Affects men (90%) and may be precipitated by alcohol or nitroglycerink room. Migraine- Migraine is characterized by recurrent headaches widely variable in intensity, duration and frequency. Migrainous headache is commonly unilateral, associated with nausea and vomiting and may be preceded by, or associated with, neurological and mood disturbances. Trigeminal neuralgia - Trigeminal neuralgia is characterized by brief attacks of severe pain that start in the distribution of one of the divisions of the trigeminal nerve. The pain is paroxysmal and sharp, usually occurring in multiple bursts in rapid succession lasting a few seconds. Attacks can be triggered either by cutaneous stimulation such as shaving or by motor activity such as chewing. Tension headache Affects females more than males. Generalized nondescript band-like discomfort present continuously A major difference from cluster headache, SUNCT syndrome and paroxysmal hemicrania is that autonomic features are sparse or absent.